A 6 month old baby brought to emergency department with features of cardiac failure. On examination, she found to have developmental delay and a large tongue. Echocardiography shows severe concentric LVH. The most probable diagnosis is:
1. Pompe disease
2. Von Gierke's disease
3. Forbe's Disease
4. McArdle's disease

Correct answer: 1. Pompe disease

Explanation: The type of glycogen storage disease that primarily involves the heart is Pompe disease (GSD IIa) in which acid maltase, necessary for hydrolysis of the outer branches of glycogen, is absent. There is marked deposition of glycogen within the myocardium. Affected infants are well at birth, but symptoms of growth and developmental delay, feeding problems, and cardiac failure occur by the sixth month of life. Physical examination reveals generalized muscular weakness, a large tongue, and cardiomegaly without significant heart murmurs. Chest radiographs reveal cardiomegaly with or without pulmonary venous congestion. The ECG shows a short PR interval and LVH with ST depression and T-wave inversion over the left precordial leads. Echocardiography shows severe concentric LVH. Children with Pompe disease usually die before age 1 year. Death may be sudden or result from progressive HF. Ref: Darst J.R., Collins K.K., Miyamoto S.D. (2012). Chapter 20. Cardiovascular Diseases. In W.W. Hay, Jr., M.J. Levin, R.R. Deterding, J.J. Ross, J.M. Sondheimer (Eds), CURRENT Diagnosis & Treatment: Pediatrics, 21e.